Artery of hindgut is
1. Coeliac trunk
2. Superior mesenteric
3. Inferior mesenteric
4. None

Correct answer: 3. Inferior mesenteric